Knowing the capital of France is an example for
1. Explicit memory
2. Declarative memory
3. Semantic memory
4. All of the above

Correct answer: 4. All of the above

Explanation: Explicit / Declarative memory
It involves concious recall of events

Semantic memory : It is about facts
Episodic memory : It is about events of life